During surgical staging of ovarian tumor, there is a surgical spill during intra-op. What is the FIGO stage of this patient?
1. Stage 1C1
2. Stage 1C2
3. Stage 1C3
4. Stage II

Correct answer: 1. Stage 1C1

Explanation: STAGE ITumor limited to ovary or ovariesaStage 1AOne ovary without malignant ascites, positive peritoneal washings, surface involvement or ruptureStage 1BBoth ovaries, without malignant ascites, positive peritoneal washings, surface involvement or rupture Stage 1CMalignant ascites, positive peritoneal washings, surface involvement or rupture present1C1Surgical spill1C2Capsule rupture before surgery, or tumor on ovarian or fallopian tubal surface1C3Malignant cells in ascites or peritoneal washings STAGE IIOvarian tumor with pelvic extensionaStage IIAInvolvement of the uterus or fallopian tubesStage IIBInvolvement of the pelvic organs STAGE IIITumor involving upper abdomen or lymph nodes Stage IIIAPositive retro-peritoneal nodes only or microscopic peritoneal disease outside the pelvisStage IIIA1Positive retro-peritoneal nodes as the only site of extra-pelvic spreadIIIA1Metastasis up to 10mm in greatest dimensionIIIA1Metastasis > 10mm in greatest dimensionStage IIIA2Microscopic extra-pelvic peritoneal involvement Stage IIIBMacroscopic peritoneal metastasis <= 2cm in diameter bStage IIICMacroscopic peritoneal metastasis > 2cm in diameter b STAGE IVDistant organ involvement, including Pleural spacec or Hepatic/Splenic ParenchymaStage IVAPleural effusion with positive cytologyStage IVBParenchymal metastasis or metastasis to extra-abdominal sites such as inguinal lymph nodesa Patients with disease that appears to be confined to the ovaries or pelvis require nodal biopy for complete staging in order to rule out occult nodal involvementb Disease measurements for staging purposes are made before debulking has been attemptedc Pleural effusion must be cytologically proven to be malignant if used to define stage IV disease